Cervical lymphadenopathy is seen most commonly in which variety of thyroid carcinoma?
1. Papillary carcinoma
2. Follicular carcinoma
3. Anaplastic carcinoma
4. Medullary carcinoma

Correct answer: 1. Papillary carcinoma

Explanation: Papillary thyroid cancer most typically manifests either as a palpable thyroid nodule or as an incidental imaging finding . Occasionally, a metastatic PTC manifests as a painless lateral neck mass that is clinically detected before detecting the primary thyroid lesion. PTC disseminates lymphatic spread, PTC is characterized by a high rate of lymph node involvement at the time of initial evaluation. Follicular thyroid cancer typically spreads hematogenous routes. Medullary carcinoma can spread to lymphnodes, but is rare cancer accouts to only 4-10% of thyroid cancers. Generally presents with palpable thyroid mass or raised calcitonin levels. Anaplastic carcinoma typical manifestation is an older patient with dysphagia, cervical tenderness, and a painful, rapidly enlarging neck mass. Source : Sabiston 20th edition Pg : 904